Ophthalmoplegic migraine is best defined by:
1. Headache with irreversible loss of ophthalmic nerve function
2. Recurrent transient 3rd nerve palsy associatedwith headache
3. Recurrent transient 3rd, 4th and/or 6th nerve palsyassociated with headache
4. Headache associated with optic neuritis

Correct answer: 3. Recurrent transient 3rd, 4th and/or 6th nerve palsyassociated with headache

Explanation: Opthalmoplegic migraine is thought to be a recurrent demyelinating neuropathy with a migraine like headache accompanied or followed by diplopia & weakness of cranial nerves that move the eye - III, IV or VI. The third nerve is most commonly involved. Ref: Migraine By Britt Talley Daniel MD, Britt Talley Daniel - Page 264.